Which of the following are the adverse effects of pioglitazone?
1. Weight gain
2. Hepatotoxicity
3. Increased risk of urinary bladder cancer
4. All of the above

Correct answer: 4. All of the above

Explanation: Glitazones - They act by stimulating PPAR- g receptor - Reverse insulin resistance - e.g. Pioglitazone Pioglitazone: -Adverse effects: Hepatotoxic Sodium and water retention weight gain Increases risk of urinary bladder carcinoma Avoid in liver disease or heart failure -Rosiglitazone increases the risk of myocardial infarction -Troglitazone banned because it cause liver damage